Aniridia is associated with
1. Retinoblastoma
2. Hepatoblastoma
3. Nephrobl astoma
4. Medulloblastoma

Correct answer: 3. Nephrobl astoma

Explanation: Nephroblastoma Genetics of Aniridia Aniridia results from abnormal neuroectodermal development secondary to PAX-6 gene mutations at chromosome 1lp13 (locus symbol AN2) PAX-6 gene is the master gene of eye development WT gene responsible for Wilm's tumor is located near AN2 region. Sporadic aniridia may be associated with WAGR syndrome resulting from large deletions of 11p13, which include both the PAX-6 and the adjacent Wilm's tumour locus (WT)